A patient complains of muscle weakness. It was reversed on the administration of neostigmine, because:
1. It blocks action of acetylcholine
2. It interferes with the action of mono amine oxidase
3. It interferes with the action of carbonic anhydrase
4. It interferes with the action of acetylcholine esterase.

Correct answer: 4. It interferes with the action of acetylcholine esterase.

Explanation: Neostigmine acts by inhibiting the enzyme acetylcholinesterase. This enzyme is involved in degradation of ACh, consequently neostigmine increases the synaptic level of ACh. Muscle weakness can be improved by stimulation of NM receptors at muscle end plate due to increased ACh.